Contraindications to the use of combined oral contraceptives are all except
1. Migraines with focal neurological defecit
2. Coronary artery disease
3. Suspected Osteosarcoma
4. Diabetes with vascular involvement

Correct answer: 3. Suspected Osteosarcoma

Explanation: Contraindications to the Use of Combination Oral Contraceptives 

Pregnancy
Uncontrolled hypertension.
Smokers older than 35 years.
Diabetes with vascular involvement.
Cerebrovascular or coronary artery disease.
Migraines with associated focal neurologic deficits.
Thrombophlebitis or thromboembolic disorders.
History of deep-vein thrombophlebitis or thrombotic disorders.
Thrombogenic heart arrhythmias or thrombogenic cardiac valvulopathies.
Undiagnosed abnormal genital bleeding.
Known or suspected breast carcinoma.
Cholestatic jaundice of pregnancy or jaundice with pill use.
Hepatic adenomas or carcinomas or active liver disease with abnormal liver function.
Endometrial cancer or other known or suspected estrogen-dependent neoplasia.